How does hyperammonemia inhibit TCA cycle?
1. By depleting alpha ketoglutarate
2. By depleting oxaloacetate
3. By increasing concentration of alpha ketoglutarate
4. By increasing concentration of oxaloacetate.

Correct answer: 1. By depleting alpha ketoglutarate

Explanation: Build up of cummonemia which occurs in urea cycle disorder or advanced liver disease, inhibits TCA cycle by depleting alpha ketoglutarate.